Teratomas may arise from the aberrant migration of
1. Epiblast
2. Hypoblast
3. Cytotrophoblast
4. Syncy otrophoblast

Correct answer: 1. Epiblast

Explanation: Epiblast cells form the primordial germ cells, which migrate from the region of primitive streak to the region of future gonads to form the gametes like sperm & oocyte.Abnormal remnants of epiblast/primordial germ cells at the primitive streak or their aberrant migration lead to forma on of teratomas.